Which of the following drug can be used in both Type 1 & Type 2 DM?
1. Metformin
2. Rapaglinide
3. Pramlintide
4. Sitagliptin

Correct answer: 3. Pramlintide

Explanation: Pramlintide is a synthetic analogue of Amylin which is the only drug other than Insulin that can be used in both Type 1 & Type 2 DM.